Angiogenesis is -
1. Formation of the new blood vessels
2. Repair by connective tissues
3. Formation of the blood clot
4. All of the above

Correct answer: 1. Formation of the new blood vessels

Explanation: Ans. is 'a' i.e., Formation of the new blood vessels